Preservation of cusps and marginal ridges is:
1. Primary resistance form.
2. Primary retention form.
3. Convenience form.
4. Secondary retention form.

Correct answer: 1. Primary resistance form.

Explanation: Features of primary resistance form are:

Box shape.
Flat floor.
Preservation of cusps and marginal ridges.
Rounded internal and external line angles.